AUB - O is all except
1. Dysfunctional uterine bleeding.
2. Amenorrheic for weeks to months followed by heavy bleeding.
3. Availability of arachidonic acid is reduced at cellular level.
4. Increased progesterone levels.

Correct answer: 4. Increased progesterone levels.

Explanation: If Ovulation does not occur, no progesterone is produced.